Test predicting the return of renal function in a patient with tumor lysis syndrome is ?
1. Serum creatinine
2. Serum phosphate
3. Serum potassium
4. Serum Uric acid

Correct answer: 4. Serum Uric acid

Explanation: Answer- D. Serum Uric acidThe prognosis of tumor lysis syndrome is excellent, and renal function recovers after the uric acid level is lowered to < l0 mg/dl.